In Jorgenson technique drugs given by IV routes are:
1. Pentobarbitol
2. Scopalamine
3. Pethidine
4. All of the above

Correct answer: 4. All of the above

Explanation: Jorgenson technique includes intravenous administration of opioids. The drugs used in Jorgenson technique are:
a) Pentobarbitol
b) Mepiridine
c) Scopalamine (Hyoscine)
d) Pethidine, etc.